Neuromuscular blocker of choice in real failure:
1. Atracurium
2. Pancuronium
3. Rocuronium
4. Tubocurare

Correct answer: 1. Atracurium

Explanation: Ans: A (Atracurium) Ref: Ajay Yadav's Short Textbook of Anaesthesia, 1st ed. Pg 89.Explanation:AtracuriumIt has a unique method of degradationIts metabolism is independent of hepatic and renal functionsIt undergoes HOFFMAN DEGREDATION (95%) and ester hydrolysis (5%) in plasmaSystemic effects,CVS: Can cause hypotension because of histamine releaseResp: Can cause Bronchospasm due to histamine releaseCNS: At higher doses, its metabolic product Laudanosine can precipitate convulsionsAllergic reactions from pruritic rash to angioedema can occurUsesAtracurium is relaxant of choice inHepatic failureRenal failureMyasthenia gravis